Epidemic dropsy is characterised by all EXCEPT -
1. Disc edema
2. Hard exudates
3. Peri retinal haemorrhage
4. Tortuous retinal vessels

Correct answer: 2. Hard exudates

Explanation: "Ocular features of epidemic dropsy consists of glaucoma; retinal vascular changes in the form of dilated, tortous vessels, superficial retinal hemorrhage, and papillophlebitis".  — Archieves of ophthalmology